A fourteen year old boy is admitted with history of fever, icterus, conjunctival suffusion and haematuria for twenty days. Which of the following serological test can be of diagnostic utility -
1. Widal test
2. Microscopic Agglutination Test
3. Paul Bunnell test
4. Weil felix reaction

Correct answer: 2. Microscopic Agglutination Test